Munchausen's syndrome by proxy involves-
1. Drug abuse
2. Toxin-mediated neuropsychiatric
3. Illness caused by care giver
4. All of the above

Correct answer: 3. Illness caused by care giver

Explanation: Munchausen's syndrome by proxy is a form of child abuse in which a patent, usually the mother, or a caretaker repeatedly fabricates or actually inflicts injury or illness in a child for whom medical intervention is then sought, often in an emergency setting.